An indicator of inadequate breast feeding in an infant is
1. Baby sleeping for 2-3 hours after feed
2. Weight loss >7% of birth weight
3. Urine 5-7 times/day
4. Stool 4 times/day

Correct answer: 2. Weight loss >7% of birth weight

Explanation: Weight loss of >7-10% of birth weight is an indicator of inadequate breastfeeding in an infant. Indicators of inadequate breastfeeding in an infant: Weight loss >7-10% of birth weight Lethargy (sleeping longer than 2-3 hours) Delayed stooling (Less than 4 times/day) Decreased urine output (urinating less than 5-7 times/day) Hypernatremic dehydration Inconsolable crying and increased hunger Insufficient milk intake may be caused by insufficient milk production, failure of established breastfeeding, and health conditions in the infant that prevent proper breast stimulation. Breastfed neonates usually feed 8-12 times a day, with a minimum of 8 times per day. However, the neonate should be breastfed on demand. Ref: Nelson textbook of pediatrics 21st edition Chapter : 56